Nonsense codon are all EXCEPT
1. UAA
2. UAG
3. UGA
4. UCA

Correct answer: 4. UCA

Explanation: D. i.e. (UCA) (366- Herper 27th) (250 - Rana Shinde ?"')* Termination ("Stop or Nonsense") codons - Three of the codon UAG, UGA, and UAA, do not code for aminoacids but rather are termination codons. It signals that synthesis of the peptide chain codon by that mRNA is completedAlso - Remembers* Features of the Genetic code - Degenerate , Unambiguous, Nonoverlapping, Not punchuated, universal(I Codon consists of - 3 base pairs**(ii) Amber codon referto stop condons** - Amber ochre and opal codons(iii) Shine - Dalgarno- sequence in bacterial RNA is near to AUG codon**(iv) Anticodon is present tRNA**(v) Translation process, "proof reading" of mRNA is done by - Amino-acyl t-RNA synthetase**(vi) Fidelity of protein translation depends on - Amino acyl + RNA synthetase**(vii) The human genome contains DNA with approximately three billion (109)** base pairs, that encode 30,000 to 40, 000 genes located** on 23 pairs of chromosome